The stapedius muscle, which moves the stapes ossicle, is innervated by
1. CN V
2. CN XII
3. CN III
4. CN VII

Correct answer: 4. CN VII

Explanation: Stapedius muscle - derivative of 2nd phyrangel arch Supplied by Fcaial nerve (nerve to stapedius) which is also 2nd phyrangeal arch derivative Artery of 2nd phyrageal arch - stapedial artery Origin of stapedius- from pyramidal eminence and inserted into neck of stapes. Function- stapedial Reflex / Acoustic reflex- when loud sounds (above 90 db ) are perceived -stapedial muscle contracts -stapes pulled back